A 28 year old G3P2 parturient is undergoing general anaesthesia for emergency cesarean section due to uterine rupture. All these findings would suggest an amniotic fluid embolism pH except.
1. Increased maternal pH
2. Decreased EtCO2
3. Bleeding diathesis
4. Upsloping EtCO2  tracing

Correct answer: 1. Increased maternal pH

Explanation: Amniotic fluid embolism-cardinal signs

Branchospasm
Hypoxemia
Shock
Maternal acidosis
Coagulopathy (DIC)
Altered mental status